Puerperium last for :
1. 2 weeks
2. 4 weeks
3. 6 weeks
4. 8 weeks

Correct answer: 3. 6 weeks

Explanation: 6 weeks